The following methods can be used to detect the point mutation in the beta (b)-globin gene that causes sickle cell anemia, except
1. Polymerase chain reaction with allele-specific oligonucleotide hybridization
2. Southern blot analysis
3. DNA sequencing
4. Northern blot analysis

Correct answer: 4. Northern blot analysis

Explanation: The northern blot is a technique used in molecular biology research to study gene expression by detection of RNA(or isolated mRNA) in a sample.The technique has been used to show overexpression of oncogenes and downregulation of tumor-suppressor genes in cancerous cells when compared to 'normal' tissue, as well as the gene expression in the rejection of transplanted organs.